Pauciarticular JRA is characterised by all except –
1. Uveitis
2. Scleritis
3. Cataract
4. Keratopathy

Correct answer: 2. Scleritis

Explanation: Ocular manifestations of JRA

Uveitis (most common)              
Cataract 
Band keratopathy 
Glaucoma